Hairy tongue is characterized by
1. Hypertrophy of fungiform papillae
2. Hypertrophy of foliate papillae
3. Hypertrophy of filiform papillae
4. Hypertrophy of circumvallate papillae.

Correct answer: 3. Hypertrophy of filiform papillae